All except one is true regarding carotid sheath
1. Carotid sheath contains internal carotid artery, internal jugular vein, and vagus nerve
2. It is formed by investing layer of deep cervical fascia, pretracheal and prevertebral fascia
3. Sympathetic chain runs vertically through the carotid sheath
4. 9,11, and 12th cranial nerves pierce the upper part of carotid sheath

Correct answer: 3. Sympathetic chain runs vertically through the carotid sheath

Explanation: Sympathetic chain runs behind the carotid sheath.